A client is recently diagnosed with HIV and a highly antiretroviral therapy is started. After the first week of therapy, the patient complains of headache, dizziness, and nightmares. Which one of the following anti-retroviral drugs is most likely associated with these symptoms?
1. Lamivudine.
2. Efavirenz.
3. Tenofovir.
4. Saquinavir.

Correct answer: 2. Efavirenz.

Explanation: Efavirenz is a non-nucleoside reverse transcriptase inhibitor. Side effects include rash, dizziness, confusion, headache, and nightmares.

Options A and C: Lamivudine and Tenofovir side effects includes headache, dizziness, nausea, diarrhea, or trouble sleeping.
Option D: Saquinavir can cause headache, nausea, diarrhea, and photosensitivity.